Acetyl CoA cannot be converted to:
1. Fatty Acids
2. Glucose
3. Ketone Bodies
4. Cholesterol

Correct answer: 2. Glucose

Explanation: Acetyl CoA is a starting material for Fatty Acid Synthesis, Cholesterol Synthesis & Ketone Body Synthesis (option a, c & d). But Acetyl CoA is never a substrate for Gluconeogenesis i.e. it can never form glucose (option b). Because Acetyl CoA can never be converted back to Pyruvate as Link reaction or Pyruvate Dehydrogenase is irreversible. However, acetyl-CoA can stimulate gluconeogenesis by activating pyruvate carboxylase (see fig) Extra Edge: Acetyl CoA is NOT:- Not The intermediate of TCA. The first substrate of TCA. The carrier of TCA .